Population genetics is related to?
1. Mandelian law
2. Watson and Crick model
3. Hardy Weinberg law
4. All of the above

Correct answer: 3. Hardy Weinberg law

Explanation: Answer: C. Hardy Weinberg law. (Ref Park's Textbook of PSM 22nd/Pg.766-767)HARDY WEINBERG LAW# Concerns with population genetics.# It states that "the relative frequency of each gene allele tends to remain constant from generation to generation" in the absence of forces that change the gene frequencies.# Thus it assumes that human population is static.Hardy-Weinberg law assumptions also include: No mutation occurring at the locus, Natural selection is not occurring.Completely random mating and No net migration.# But in reality, human population and gene pool is never static due to (factors affecting HARDY WEINBERG equilibrium) mutation, natural selection, population movements, breeding structures and public health measures.